Aetiology of the hernia includes all EXCEPT:
1. Obesity
2. Whooping cough
3. Peritoneal dialysis
4. Chronic prostitis

Correct answer: 4. Chronic prostitis

Explanation: (Chronic prostatitis): Ref: 1272 - LB, 1200 - 1202-SB (968-B & L 25th)Causes of hernia:1. Whooping cough2. Straining on micturition or defecation3. Obesity, Pregnancy4. Intraabdominal malignancy5. Smokers, result of an acquired collagen deficiency6. Peritoneal dialysis - from a previously occult weakness or enlargement of a patent processus vaginalis* Indirect inguinal hernia is the most common hernia, regardless of gender* Inguinal hernias remains the most common hernia in women* Both indirect inguinal and femoral hernias occur more commonly on the right side.* Strangulation, the most common serious complication of a hernia, Most strangulated hernias are indirect inguinal hernias, however, femoral hernias have the highest rate of strangulation (15 to 20%) of all hernias, and for this reason it is recommended that all femoral hernia be repaired at the time of discovery. (1200 - 1- SB)